A mill-wheel type of murmur during laparoscopy suggests -
1. Tension pneumothorax
2. Intraabdominal bleeding
3. Gas embolism
4. Pre-existing valvular disease

Correct answer: 3. Gas embolism